LDH, / LDH2 in acute MI is -
1. >1.0
2. >1.5
3. >2.0
4. >2.5

Correct answer: 1. >1.0

Explanation: a fliped pattern ie LDH 1 To LDH 2 ratio more than 1 indicates acute MI Ref Davidson edition23rd pg 463